The hepatic portal vein is formed by the union of which of the following major vessels?
1. Superior Mesenteric and Inferior Mesenteric Veins
2. Superior Mesenteric and Splenic Veins
3. Superior Mesenteric And left renal vein
4. Inferior Mesenteric and Splenic Vein

Correct answer: 2. Superior Mesenteric and Splenic Veins

Explanation: The hepatic portal vein is formed by the union of, (a) Splenic vein, which drains the spleen, pancreas, greater curvature of stomach, and (b) Superior mesenteric, which drains the small intestine andascending colon. The gastric vein, which drains the lesser curvature of the stomach, empties directly into the hepatic portal vein.